If a body is left undisturbed, for how long does post mortem staining persists -
1. Few hours
2. Few days
3. Few months
4. Persists till merges with discolouration of putrefaction

Correct answer: 4. Persists till merges with discolouration of putrefaction

Explanation: Postmortem staining occurs shortly after death and persists until putrefaction sets in which is also known as primary lividity. Dr.Narayana Reddys Synopsis of Forensic Medicine and Toxicology 27th edition pg. 76.